To plead for insanity in a court of law, the IPC is:
1. Sec. 84
2. Sec. 85
3. Sec. 88
4. Sec. 90

Correct answer: 1. Sec. 84

Explanation: Ans. Sec. 84